Which is an unlocker of knee?
1. Popliteus
2. biceps femoris
3. Sartorius
4. Gastrocnemius

Correct answer: 1. Popliteus

Explanation: ANSWER: (A) PopliteusREF: Gray's anatomy 39th ed p. 1465,1482-83* Locking or screw home mechanism: Conjuct medial rotation of femur on tibia in later stages of extension due to quadriceps femoris locks the knee joint.Unlocking of knee joint: At beginning of flexion from full extension with foot flexed, lateral rotation by Popliteus muscle unlocks the joint.